Vitamin B12 deficiency can lead to all, except:
1. Megaloblastic aneamia.
2. Myopathy
3. Optic neuritis
4. Myelopathy.

Correct answer: 2. Myopathy

Explanation: Vitamin B12 deficiency
A. Hematological manifestations

Megaloblastic anemia
Macrocytic anemia

B. Neurological

Cerebrum —> dementia
Spinal cord --> myelopathy
Cranial nerve —> optic neuritis
Peripheral nerve —> Peripheral neuropathy